Habitat of hookworm is -
1. Jejunum
2. ileum
3. Colon
4. Duodenum

Correct answer: 1. Jejunum

Explanation: The adult worms live in the small intestine of infected persons mostly in the jejunum,less often in the duodenum, and infrequently in the ileum Ref : panikers textbook of Medical parasitology 8th edition page 187